Contraindications to use of Beta Blockers
1. Bronchial asthma
2. Hypertension
3. Tachycardia
4. Glaucoma

Correct answer: 1. Bronchial asthma

Explanation: * Bronchial asthma is an absolute contraindication of non selective beta Blockers - as they induce bronchoconstriction by knocking off beta 2 mediated adrenergic bronchodilation. Ref:- Sharma's Principles of Pharmacology 3rd Ed; Pg No:- 191-2